Which of the following vitamins deficiency occurs in exclusively in carnivores
1. Thiamine
2. Niacin
3. Cobalamine
4. Vitamin C

Correct answer: 4. Vitamin C

Explanation: (Vitamins C) (379-LP 4th) (499- Harper's 27th) (134- U.S 3rd)* Vitamin deficiency in exclusively in carnivores - Vitamin - C* Vitamin deficiency in exclusively in herbivores - cynocabalamin (B12)Dietary source of vitamin - C- citrus fruits, goose berry (amla) guava, green vegetables (cabbage, spinach) tomatoes potatoes (particularly skin)* High content of vitamin C is found in adrenal glands** and gonads* Milk is a poor source of ascorbic acidOccurance and sources of Vitamin Bp* It is present in foods of animals origin only and is not present in foods of vegetable sources* Good and rich animal sources are liver, eggs fish meat kidney fair sources are milk and dairy products.* It is synthesized exclusively by microorganisms** Strict vegetarians are at risk of developing B12 deficiency